The stability of the ankle joint is maintained by the following, except
1. Plantar calcaneonavicular (spring) ligament
2. Deltoid ligament
3. Lateral ligament
4. Shape of the superior talar articular surface

Correct answer: 1. Plantar calcaneonavicular (spring) ligament

Explanation: A. i.e. Planter calcaneonavicular ligament Calcaneonavicular/ Spring ligament is most important ligament for maintaining the median longitudinal arch of foot but has nothing to do with stability of ankle joint because it is not around ankle joint